Structures preserved in MRM are all the following except
1. Axillary vessels
2. Bell's nerve
3. Cephalic vein
4. Nipple

Correct answer: 4. Nipple

Explanation: Ans. (d) Nipple(Ref Bailey and Love 26th edition page 813)Structures preserved in MRM:* Axillary vessels* Bell's Nerve* Cephalic vein* Nerve to Latissmus dorsi* Pectoralis major